Which is an essential fatty acid:
1. Prostacyclins
2. Linoleic acid
3. Prostaglandins
4. Leukotrienes

Correct answer: 2. Linoleic acid

Explanation: Linoleic acid It is an unsaturated omega-6 fatty acid. It is a colorless liquid at room temperature. Chemically, linoleic acid is a carboxylic acid with an 18-carbon chain and two cis double bonds; the first double bond is located at the sixth carbon from the methyl end. Linoleic acid belongs to one of the two families of essential fatty acids. The body cannot synthesize linoleic acid from other food